Which one of the following is used for Severe male factor infertility?
1. GIFT
2. ZIFT
3. ICSI
4. IVF

Correct answer: 3. ICSI

Explanation: (C) ICSI# In cases of severe male factor infertility in which sperm count is low, a sperm cannot fertilize an egg, or the sperm has to be surgically retrieved, intracytoplasmic sperm injection (ICSI) is a highly effective solution.> ICSI involves the insertion of a single sperm directly into a mature egg obtained from the ovary of a woman undergoing in-vitro fertilization (IVF). Often, this procedure results in the fertilization and development of a normal embryo.> If ICSI is combined with IVF to improve the sucess rates.> GIFT (gamete intrafallopian transfer) and ZIFT (zygote intrafallopian transfer) are modified versions of in vitro fertilization (IVF).